Planter flaxion is brought about by which of these muscles:
1. Plantaris
2. FHL
3. Soleus
4. All

Correct answer: 4. All

Explanation: A. i.e. Plantans; B. i.e. FHL; C. i.e. Soleus